In adults, circulatory collapse occurs after a minimum of what percentage burns of total body surface area:
1. 5%
2. 10%
3. 15%
4. 20%

Correct answer: 3. 15%

Explanation: Ans. 15%